Melanocytes are present in
1. Stratum Corneum
2. Stratum Granulosum
3. Stratum Basale
4. Stratum Lucidium

Correct answer: 3. Stratum Basale

Explanation: Melanoblasts, derived from neural crest, migrate to the epidermis and reside in the stratum basaleReference: Krishna Garg Histology; 5th edition; Page no: 113